When does a burns patient need to be intubated -
1. Deep facial bums with singed nasal hair
2. Superficial facial bums
3. Pulse rate>100/min
4. Crepitations on auscultation

Correct answer: 1. Deep facial bums with singed nasal hair

Explanation: Ans. is 'a' i.e., Deep facial burns with singed nasal hair Indications for intubation in burns patientso Persistent cough, stridor, or wheezingo Hoarsenesso Deep facial or circumferential neck bumso Nares with inflammation or singed hairo Carbonaceous sputum or burnt matter in the mouth or noseo Blistering or edema of the oropharynxo Depressed mental status, including evidence of drug or alcohol useo Respiratory distresso Hypoxia or hypercapniao Elevated carbon monoxide and/or cyanide levels.